Which is not true of Ludwig's angina?
1. Usually arises from an infected molar
2. Involves submandibular space.
3. May need emergency tracheostomy
4. None of the above

Correct answer: 4. None of the above